Peroxisomes contain (what class of - enzymes
1. oxidative
2. superoxide anion
3. hydroxyl radical
4. hypochlorous acid

Correct answer: 1. oxidative

Explanation: Peroxisomes contain enzymes- Oxidase and catalase. So H2O2 can be either synthesized (Oxidase) or metabolized (catalase) by peroxisomes.